Interstitial nephritis is common with
1. NSAID
2. Black water fever
3. Rhabdomyolysis
4. Tumor lysis syndrome

Correct answer: 1. NSAID

Explanation: Ans. (a) NSA1DRef: Harrison 19th ed. /1856Choices B,C,D lead to acute tubular necrosis and hence by exclusion the answer is A.Causes of Acute Interstitial Nephritis* Drugs like beta lactams, quinolones, NSAID,COX-2 inhibitors, phenytoin, valproate and P.P.I* Infections like streptococcus, staphylococcus* Connective tissue disorder like SLE, Sjogren* Light chain nephropathy* Urate nephropathyCauses of Chronic Interstitial Nephritis* V.U.R* Sickle cell disease* Hypokalemic nephropathy